Amnesia, fugue, and multiple personality are all classified as which behaviour disorder?
1. Personality disorders
2. Dissociative disorders
3. Psychotic disorders
4. Organic mental disorders

Correct answer: 2. Dissociative disorders

Explanation: In dissosiation when the patient faces a stress the psychological pain is converted to sudden change in ones identity which can be a change in the form of memory, motor behaviour or one's identity Dissociative Amnesia u Most common type u adolescents / younger adults u Female>male u Abrupt onset, abrupt termination, few re-occurrences' u May be localized (common) or generalized or selective Dissociative Fugue u sudden unexpected travel away from home or place of work. u There is also inability to recall their personal past history u In Complex partial seizures Dissociative Identity Disorder/ Multiple Personality Disorder * Usually one of these subpersonalities - called the primary, or host, personality - appears more often than the others * The transition from one subpersonality to the next ("switching") is usually sudden and may be dramatic Reference: Kaplon and sadock, 11 th edition, synopsis of psychiatry, 11 th edition, pg no. 451